Factor present in final common terminal complement pathway is
1. C3
2. C4
3. C5
4. Protein B

Correct answer: 3. C5

Explanation: Activation of the classical and alternative pathwaysleads to a common terminal pathway from C5 to C9. These complement components form the finalmembrane attack complex (MAC). ... complementfixation the combining of complement with the antigen-antibody complex, rendering the complement inactive, or fixed. Ref Robbins 9/e p40